Socio-security measures that are provided to the workers by which of the follow ing Act/Acts ?
1. Factory Act
2. Central Maternity Benefit Act
3. Workman compensation Acts
4. All

Correct answer: 4. All

Explanation: Ans. is 'a' i.e., Factory Act; 'b' i.e., Central Maternity Benefit Act; 'c' i.e., Workman compensation Act o Factory laws have been framed in every country to govern the conditions in industry and to safeguard the health and welfare of the worker.